A "Potential Anastomosis" seen in
1. Labial branch of facial artery
2. Intercostal artery
3. Coronary artery
4. Arterial arcades of mesentery

Correct answer: 3. Coronary artery

Explanation: Arterial anastomosis is the communication between the arteries, or branches of arteries. It may be actual or potential. Actual Arterial Anastomosis: In actual arterial anastomosis the arteries meet end to end. For example, palmar arches, plantar arch, circle of Willis, intestinal arcades, labial branches of facial arteries. Potential Arterial Anastomosis: In potential arterial anastomosis the communication takes place between the terminal arterioles. Such communications can dilate only gradually for collateral circulation. Therefore on sudden occlusion of a main artery, the anastomosis may fail to compensate the loss. The examples are seen in the coronary arteries and the cortical branches of cerebral arteries. Ref - Medscape.com